The following are the primary sites of acute gonococcal infection except:
1. Urethra
2. Batholin's gland
3. Skene's gland (Paraurethran glands)
4. Ectocervix

Correct answer: 4. Ectocervix

Explanation: Ectocervix is covered by squamous epithelium and squamous epithelium is resistant to gonococcal infection. Primary genital sites of involvement of gonorrhea Endocervix Urethra Skene' gland Bartholin's gland